Residual auditory defect is a common complication in meningitis caused by
1. Staphylococcus
2. Meningococcus
3. Escherichia coli
4. Haemophilus influenzae

Correct answer: 4. Haemophilus influenzae

Explanation: Residual auditory defect is caused by Haemophilus meningitis .so BERA is the investigation of choice done in them. Reference: GHAI Essential pediatrics, 8th edition